An obese female patient presented with hypertension chronic headeache and, normal pituitary function.The most likely diagnosis is
1. Cushing's disease
2. Empty sella Syndrome
3. prolactinoma
4. Hypothyroidism

Correct answer: 2. Empty sella Syndrome

Explanation: Empty sella syndrome (ESS) is the condition when the pituitary gland shrinks or becomes flattened, filling the sella turcica with cerebrospinal fluid instead of the normal pituitary patients with empty sella syndrome can have headaches as symptoms of elevated spinal fluid pressure; symptoms of hypopituitarism; or visual symptoms, which can sometimes be due to downward, prolapse of the optic chiasm into the empty sella. Ref Harrison20th edition pg 2478